Radio-luscent renal stones are composed of -a) Cysteineb) Calcium phosphatec) Uric acidd) Xanthine
1. cd
2. bc
3. bd
4. ac

Correct answer: 1. cd